Not a landmark of facial nerve identification in parotid surgery:
1. Inferior belly of omohyoid
2. Peripheral branches
3. Post belly of digastric
4. Tragal pointer

Correct answer: 1. Inferior belly of omohyoid

Explanation: Sx Landmarks of Facial N. for parotid Sx Cartilaginous pointer. The nerve lies 1 cm deep and slightly anterior and inferior to the pointer. Cartilaginous pointer is a sharp triangular piece of cartilage of the pinna and "points" to the nerve. Tympanomastoid suture. Nerve lies 6-8 mm deep to this suture. Styloid process. The nerve crosses lateral to styloid process. Posterior belly of digastric. If posterior belly of digastric muscle is traced backwards along its upper border to its attachment to the digastric groove, nerve is found to lie between it and the styloid process.